Which of the following is not true about synovial sarcoma?
1. It does not arise from synovium
2. It occurs more common at extraarticular sites
3. It is seen at >50 yrs of age
4. Knee and foot are common sites involved

Correct answer: 3. It is seen at >50 yrs of age

Explanation: SYNOVIAL SARCOMAa. Unrelated to the synoviumb. Histologic resemblance of synovial cellsi. 2 types: monophasic, biphasicc. Fusion of genes between chromosome 18 and X chromosome - t(X,18)d. Age distribution: average age 35e. Presentation: Pain associated with deep-seated massf. The histologic hallmark of synovial sarcoma is the biphasic morphology of tumor cellsg. t (x, 18) is characteristic of synovial sarcoma.h. 4th most common soft tissue sarcomai. Location: Most commonly located around the kneej. Usually occurs within 7 cm of joint, but usually is not intra-articular (only 10%intraarticular)k. Treatment: Wide resection with chemotherapy, especially with poorly differentiated lesions.l. Sensitive to Ifosfamide regimes